The most rapidly bactericidal drug for M-Leprae is -
1. Dapsone
2. Clofazimine
3. Ethionamide
4. Rifampicin

Correct answer: 4. Rifampicin

Explanation: Rifarnpicin Rifampicin (RMP) is the only drug that is highly bactericidal against M. leprae. A single dose of 1500 mg or 3-4 consecutive daily doses of 600 mg appear to kill 99 per cent of viable organisms. Further the drug is effective when given at monthly intervals, which is a big advantage. The drug is expensive but safe. The toxic effects of RMP are anorexia, nausea, abdominal pain and occasionally vomiting. It is hepatotoxic. The patient should be kept under supervision for 1 hour, aftehe administration of the drug since shock and collapse are known to occur. RMP is now an essential drug in the chemotherapy of leprosy. Given alone, resistance to the drug develops. Hence it is given in combination with other anti-leprosy drugs. Ref: Park 25th edition Pgno : 340